MC complication of IUD:
1. Uterine Perforation
2. Expulsion of IUCD
3. Cervical carcinoma
4. Bleeding

Correct answer: 4. Bleeding

Explanation: Ans. D i.e. Bleeding The removal rate at the end of one year, because of pain, discomfort, continuous or heavy bleeding, or vaginal discharge is reported to be about 15 to 20%.